Most salt retaining Glucocorticosteroid ?
1. Hydrocortisone
2. Prednisolone
3. Betamethasone
4. Dexamethasone

Correct answer: 1. Hydrocortisone

Explanation: Ans. is 'a' i.e., Hydrocortisone Among glucocorticoids, hydrocortisone (cortisol) has maximum aldosterone activity, i.e. salt retaining capacity.Glucocorticoid with max. mineralocorticoid activity 4 Hydrocortisone (cortisol)Glucocorticoid with min. glucocorticoid activity - HydrocortisoneGlucocorticoid with no mineralocorticoid activity 4 Betamethasone, Paramethasone, Dexamethasone, Triamcinolone.Mineralocoiclid with no glucocorticoid activity 4 DOCAMaximum mineralocorticoid activity 3 Aldosterone.Maximum glucorticoid activity 4 dexamethasone, Betamethasone.